Ethanol is antidote for poisoning of -
1. Methanol
2. Barbiturates
3. Phenol
4. Carbolic acid

Correct answer: 1. Methanol

Explanation: Ans. is 'a' i.e., Methanol o Methyl alcohol (methanol) is highly toxic. It is metabolized to formaldehyde (by alcohol dehydrogenase), which in turn is metabolized to formic acid (by aldehyde dehydrogenase)o Formic acid is responsible for most of the toxic manifestations which include high anion gap metabolic acidosis with low bicarbonate (lactic acidosis), blindness due to retinal damage and papilloedema.o Treatment includes supportive measures, gastric lavage and sodium bicarbnate. Ethanol (inhibits conversion of methanol to formic acid) and fomepizole (inhibitor of alcohol dehydrognease) are also used. Other measures are folic acid or folinic acid and hemodialysis.